Swarming growth on culture is characteristic of which gram-negative organism?
1. Clostridium welchi
2. Clostridium tetani
3. Bacillus cereus
4. Proteus mirabilis

Correct answer: 4. Proteus mirabilis

Explanation: Proteus mirabilis swarming behavior is characterized by the development of concentric rings of growth that are formed as cyclic events of swarmer cell differentiation, swarming migration, and cellular differentiation are repeated during colony translocation across a surface.